A 24-year-old woman came to the emergency department late night with incomplete abortion, for which immediate suction and evacuation was done. The next morning her blood reports came which showed Hb=6gm%, TLC=5500/mm3. Her BP is 84/40mm Hg and her PR is 100/min. What is the most appropriate management?
1. Blood transfusion
2. Colloid infusion
3. Parenteral iron
4. Oral iron 200mg daily for 1 month

Correct answer: 1. Blood transfusion

Explanation: Ans. A. Blood transfusionThere is acute blood loss leading to severe anemia(Hb<7gm%) and the woman is symptomatic with decreased BP and tachycardia. Therefore, best for her at this stage is blood transfusion.Indications of Blood transfusion in pregnancy:* >36wk&Hb<=6gm%* <=5gm% anytime* <7gm% if incipient cardiac failure, pneumonia, infection, malaria